Which of the following is associated with hyperdensities in sulcal spaces,basal cisterns and anterior hemispheric fissure?
1. Subdural hematoma
2. Extradural hematoma
3. Subarachnoid hematoma
4. intraparenchymal bleed

Correct answer: 3. Subarachnoid hematoma

Explanation: Subarachnoid Hemorrhage Bleeding in area between arachnoid and piamater mambranes (subarachnoid space) Usually presents with sudden onset of severe headache/ worst headache of life. mostly around the circle of willis. m/c/c of SAH is head trauma. Diagnosis :- On NCCT shows Hyperdensities in sulcal spaces,Sylvian fissure, Basal cisterns and Anterior interhemispheric fissure. Xanthochromia (of CSF) is indicative of SAH; if CT scan is negative. IOC for Acute SAH(<48 hrs)- NCCT IOC for Chronic SAH(>48hrs)- MRI Management :- Tripple H therapy (Hypertension/Hypervolemia and Hemodilution) is used to treat and prevent cerebral vasospasm after aneurysmal subarachnoid hemorrhage(SAH). Repair of aneurysm- endovascular coiling and surgical clipping.